Gluteus maximus is inserted on -
1. Lesser trochanter
2. Greater trochanter
3. Spiral line
4. iliotibial tract

Correct answer: 4. iliotibial tract

Explanation: Gluteus maximus
-        Origin

   Iliac crest
   Posterior gluteal line of ileum and area behind and above it
   Sacrum
   Coccyx
   Sacrotuberous ligament

-        Insertion

   Gluteal tuberosity
   Iliotibial tract